Nerve carrying parasympathetic fibres are :
1. Cranial nerves 3,5,7,10 and S1-5
2. Cranial nerves 3,7,9,10 and S2-4
3. Cranial nerves 5,7,9,10 and S1-5
4. Cranial nerves 3,5,7,10 and S2-4

Correct answer: 2. Cranial nerves 3,7,9,10 and S2-4

Explanation: Para sympathetic flow is cranio-sacral flow carried by cranial nerves 3,7,9,10 and the sacral nerves S-2,3,4.These nerves carry the preganglionic fibres to their respective ganglia.